All of the following enzymes involved in heme synthesis are found in the mitochondria, EXCEPT:
1. Ferrochelatase
2. Protoporphyrinogen oxidase
3. Coproporphyrinogen oxidase
4. Uroporphyrinogen decarboxylase

Correct answer: 4. Uroporphyrinogen decarboxylase

Explanation: Uroporphyrinogen decarboxylase which catalyze the conversion of Uroporphyrinogen III to Coproporphyrinogen III is located in the cytoplasm. All the other 3 enzymes ferrochelatase, protoporphyrinogen oxidase and coproporphyrinogen oxidase are found in the cytoplasm. Coproporphyrinogen oxidase catalyze conversion of Coproporphyrinogen III to Protoporphyrinogen III. Protoporphyrinogen oxidase catalyze conversion of Protoporphyrinogen III to Protoporphyrin III. Ferrochelatase catalyze conversion of Protoporphyrin III to heme by incorporating heme into protoporphyrin. Ref: Murray R.K. (2011). Chapter 31. Porphyrins & Bile Pigments. In D.A. Bender, K.M. Botham, P.A. Weil, P.J. Kennelly, R.K. Murray, V.W. Rodwell (Eds),Harper's Illustrated Biochemistry, 29e.